Versa point used for hysteroscopic metroplasty is __________
1. Bipolar electro surgical system that cannot be used with normal saline
2. Bipolar electro surgical system that works with normal saline
3. Unipolar electro surgical system that cannot be used with normal saline
4. Unipolar electro surgical system that works with normal saline

Correct answer: 2. Bipolar electro surgical system that works with normal saline

Explanation: Versapoint is bipolar electrosurgical system that works in normal saline, is cheap and has excellent hemostasis and causes instantaneous tissue vaporization. Operative hysteroscopy with Versapoint doesnot require cervical dilation, thus avoiding cervical incompetence, cervical lacerations and uterine perforation. The Versapoint technique is a safe and effective alternative to the resectoscope. It could be used predominantly in nulligravida women, especially in those with cervical canal stenosis. Advantages of Mirena IUCD over ablative techniques: Low cost OPD procedure; NO hospitalization Preservation of fertility after its removal. Ref: Shaw&;a textbook of Gynaecology 17th edition Pgno: 137